In fracture maxilla, most common nerve involved is
1. Infra orbital nerve
2. Supraorbital nerve
3. Trochlear nerve
4. Mandibular nerve

Correct answer: 1. Infra orbital nerve

Explanation: Clinical Features of maxillary fractures: Ecchymosis of lid, conjunctiva and sclera Enophthalmos with inferior displacement of the eyeball. This becomes apparent when edema subsides. Diplopia, which may be due to displacement of the eyeball or entrapment of inferior rectus and inferior oblique muscles. Hypoaesthesia or anesthesia of cheek and upper lip, if infraorbital nerve is involved